Significant loss of vision in a patient with hypertension can occur due to all of the following, except:
1. Occipital infarct
2. Anterior ischemic optic neuropathy
3. Papilloedema
4. Retinal hemorrhage

Correct answer: 3. Papilloedema

Explanation: C i.e. Papilloedema In papilloedema visual acuity & pupillary reactions remain normal (almost) until optic atrophy sets in. Q It presents with painless & gradually progressive loss of vision Q with enlargement of blind-spot & progressive contraction of visual field. In papilloedema the visual loss is in significant. In papilloedema there is painless gradually progressive loss of vision which is usually bilateralQ which occurs after a long time only when optic atrophy sets in. Lesions of the calcarine cortex (a part of occipital lobe) usually produces a macular sparing congruous homonymous hemianopia, whereas injuries to the tip of the occipital cortex produces the same without macular sparing. B/L occipital cortex lesion 1/t coica blindness. Clinical entity in spontaneous Anterior Ishchemic Optic Neuropathy (AION) comprises of sudden loss of vision. Retinal haemorrhage can of course lead to quite significant loss of vision.